The peak level of chorionic gonadotropin in normal pregnancy occurs at :
1. 30 -- 40 days
2. 60 -- 70 days
3. 10 -- 20 days
4. 100 -- 110 days

Correct answer: 2. 60 -- 70 days

Explanation: 60 -- 70 days